Smoking is the cause of 85% of lung cancers that occurred within a group of smokers. This is an example of which of the following statistics?
1. Population attributable risk.
2. Odds ratio
3. Attributable risk
4. Relative risk

Correct answer: 3. Attributable risk

Explanation: According to the question, 85% of the lung cancers that occur among smokers is due to their smoking. Thus there is a attributable risk of 85% for smokers to develop lung cancers. It implies that by controlling the factor, the disease can be eliminated. Attributable Risk is the difference in incidence rates of a disease between an exposed group and non-exposed group and it is often expressed as a percentage. Ref: Park's Textbook of Preventive and Social Medicine, 19th Edition; Pages 68 and 73.